A 19-year-old primigravida, presents with 8 weeks amenorrhea, light bleeding and pain. O/E Uterine size corresponds to POG and Os is closed. USG reveals intra uterine pregnancy. What is preferred management in this case?
1. Estrogen plus Progesterone therapy
2. Dilatation and Curettage
3. Bed rest and Progesterone
4. Beta hCG

Correct answer: 3. Bed rest and Progesterone

Explanation: The above case history is suggestive of Threatened abortion. Management - Bed Rest Avoid Coitus Avoid Lifting weights Progesterone is given to compliment the placental function